Which of the following anticancer drugs can cause hypercoagulable state?
1. 5-FU
2. L-asparaginase
3. Melphalan
4. Carmustine

Correct answer: 2. L-asparaginase

Explanation: Ref: Katzung 11/e p955 L-asparaginase cause the breakdown of asparagine and thus interference with protein synthesis. It can inhibit the production of clotting factors (responsible for cerebal hemorrhage) as well as anti-clotting protiens(can lead to cortical viens thrombosis and other hypercoagulable state).